Nerve Supply of Nose is
1. Infratrochlear branch of Ophthalmic Nerve
2. Infraorbital branch of maxillary Nerve
3. External Nasal branch of Ophthalmic Nerve
4. All of the above

Correct answer: 4. All of the above

Explanation: Nerve supply

Infratrochlear and external nasal branches of ophthalmic nerve (CN V).
Infraorbital branch of maxillary nerve (CN V).